Unlikely to be involved in lesion of anterior spinal artery is:
1. Pain and temp
2. Vibration and proprioception
3. Pyramidal tract
4. Sphincters

Correct answer: 2. Vibration and proprioception

Explanation: B i.e. Vibration and Proprioception In anterior spinal artery syndrome all spinal cord function (motor, sensory and autonomic) are lost below the level of lesion with the striking exception of retained vibration and position senseQ.